In brow presentation, presenting diameter is/are :
1. Submentovertical
2. Occipitofrontal
3. Mentovertical
4. Suboccipitobregmatic

Correct answer: 3. Mentovertical

Explanation: Ans. is c i.e. Mentovertical Brow Presentation : Causes of brow presentation are same as for face presentation. Most common cause -- Flat pelvis. Engaging diameter -- Mentovertical (14cm). There is no mechanism of labour. Diagnosed on P/V by palpating supra orbital ridges and anterior fontanelle. Delivery is by cesarean section.